Mullerian Duct Anomaly associated with the highest incidence of pregnancy loss is?
1. Unicornuate uterus
2. Bicornuate uterus
3. Septate uterus
4. Arcuate uterus

Correct answer: 3. Septate uterus

Explanation: Ans COut of the given options septate uterus has highest risk of pregnancy loss because it hampers with implantation of the zygote.